Method of chromatography in which molecules that are negatively charged are selectively released from stationary phase into the positively charged molecules in mobile phase is termed as:Affinity chromatography
1. Affinity chromatography
2. Ion - Exchange chromatography
3. Adsorbtion chromatography
4. Size - Exclusion chromatography

Correct answer: 2. Ion - Exchange chromatography

Explanation: Ion exchange chromatography is the chromatography in which molecules are separated on the basis of charge. Ref: Applications of High Performance Liquid Chromatography By Andrew Pryde, Mary T. Gilbert, Pages 50, 53; Biochemistry By Reginald Garrett, Charles M. Grisham, Page 127.